CMV causes:
1. IUGR
2. Sepsis
3. Hydrocephalus
4. Thrombocytosis

Correct answer: 1. IUGR

Explanation: Ans. A i.e. IUGR It also causes thrombocytopenia, microcephaly etc.